A 25-year old male had pigmented macules over the plam, sole and oral mucosa. He also had anemia and pain in abdomen. The most probably diagonosis is-
1. Albright's syndrome
2. b) Cushing's syndrome
3. Peutz-Jegher's syndrome
4. Incontinentia pigmenti

Correct answer: 3. Peutz-Jegher's syndrome

Explanation: Peutz-Jeghers syndrome (PJS) is an autosomal dominant inherited disorder characterized by intestinal hamartomatous polyps in association with a distinct pattern of skin and mucosal macular melanin deposition. Ref Harrison 20th edition pg 576